Which of the following drugs is not used in treatment of bird flu?
1. Oseltamivir
2. Ribavirin
3. Zanamivir
4. Peramivir

Correct answer: 2. Ribavirin

Explanation: Ans. b. Ribavirin (Ref: Harrison 19/ep1214; Goodman Gilman 12/ep1609, 1615; Katzung 12/ep886, 887; KDT 7/e p798, 804, 6/e p777)Oral ribavirin is used for chronic HCV infection, not the bird flu."Oral ribavirin in combination with injected pegIFN alfa-2A or -2B has become standard treatment for chronic HCV infection, "-- Goodman Gilman 12/e p1615"Ribavirin is a nucleoside analogue with activity against influenza A and B viruses in vitro. Its efficacy against influenza when administered as an aerosol is reportedly variable, and it is ineffective when administered orally. Its efficacy in the treatment of influenza A or B has not been established. "-- Harrison 19/e p1214"Ribavirin is used primarily to treat hepatitis C, viral hemorrhagic fevers and RSV.""The neuraminidase inhibitor peramivir, a cyclopentane analog, has activity against both influenza A and B viruses. Peramivir received temporary emergency use authorization by FDA for intravenous administration in November 2009 due to the HINI pandemic. "-- Katzung 12/e p887Specific Antiviral Therapy for influenzaNeuraminidase inhibitors zanamivir, oseltamivir & peramivir are used for both influenza A & BQAmantadine & rimantadine are used for influenza AQOseltamivir* DOC for bird flu (H5N1)Q* Treatment of uncomplicated influenza A or B in healthy adults.Zanamivir* Administered by inhalational routeQ* Treatment of uncomplicated influenza A or B in healthy adultsQ.Peramivir* Administered IVQ* Activity against both influenza A & B virusesQLaninamivir* Long acting neuraminidase inhibitorQ* Effective against oseltamivir resistant virusQAmantadine* Active against influenza A onlyQRimantadine* Longer acting than Amantadine, active against influenza A onlyQDrug of Choice in Viral DiseasesDiseaseDrug of Choice* Viral hemorrhagic fever (Lass virus, Rift valley fever, Congo Crimean hemorrhagic fever. Hanta virus)* Respiratory syncytial virus (in high risk patients)* MeaslesRibavirinQ* Seasonal influenza* Avian influenza (bird flu)OseltamivirQ* Oseltamivir resistant influenzaZanamivirQ* Prion diseaseFlupirtineQ* Herpes simplex* VaricellaAcyclovirQ* Acute herpes zosterValacyclovirQ* Cytomegalovirus retinitisGancicyclovirQ